On which of the following tRNA acts specifically?
1. ATP
2. Golgi body
3. Specific amino acid
4. Ribosome

Correct answer: 3. Specific amino acid

Explanation: Ans. C. Specific amino acid(Ref: Harper 31/e page 346)At least one species of transfer RNA (tRNA) exists for each of the 20 amino acidstRNA molecules have extra ordinarily similar functions and three-dimensional structures. The adapter function of the tRNA molecules requires the charging of each specific tRNA with its specific amino acid.